Which is associated with G2M transition in cell cycle
1. Cycling A
2. CyclinB
3. CyclinC
4. CyclinD

Correct answer: 2. CyclinB

Explanation: Ref Robbins 8/e p286,7/e p290,9/e p26 Cyclin B is necessary for the progression of the cells into and out of M phase of the cell cycle. At the end of S phase the phosphatase cdc25c dephosphorylates tyrosine15 and this activates the cyclin B/CDK1 complex. Upon activation the complex is shuttled to the nucleus where it serves to trigger for entry into mitosis. However, if DNA damage is detected alternative proteins are activated which results in the inhibitory phosphorylation of cdc25c and therefore cyclinB/CDK1 is not activated. In order for the cell to progress out of mitosis, the degradation of cyclin B is necessary. The cyclin B/CDK1 complex also interacts with a variety of other key proteins and pathways which regulate cell growth and progression of mitosis. Cross-talk between many of these pathways links cyclin B levels indirectly to induction of apoptosis. The cyclin B/CDK1 complex plays a critical role in the expression of the survival signal survivin. Survivin is necessary for proper creation of the mitotic spindlewhich strongly affects cell viability, therefore when cyclin B levels are disrupted cells experience difficulty polarizing. A decrease in survivin levels and the associated mitotic disarray triggers apoptosis caspase 3 mediated pathway.